All of the following statements about Sternberg Canal are true, except:
1. Causes intrasphenoidal meningocele
2. Represents persistent craniopharyngeal canal
3. Located anterior and medial to Foramen Rotundum
4. Located posterior and lateral to Foramen Rotundum

Correct answer: 4. Located posterior and lateral to Foramen Rotundum

Explanation: Sternberg's canal is located anterior and medial to foramen rotandum. It is also known as lateral craniopharyngeal canal. Ref: Theodore Schwartz, Vijay Anand, Chapter 2, Anatomy of The Pituitary Gland and Parasellar Region, Endoscopic Pituitary Surgery: Endocrine, Neuro-Ophthalmologic and Surgical Management, New york; Clinical Anatomy of The Nose, Nasal Cavity and Paranasal Sinuses By Johannes Lang, Page 88; Issues in Neurological Surgery and Specialties: 2011 Edition By Q. Ashton Acton, PhD, Page 1593